Collaural fistula is:
1. 1st branchial cleft anomaly
2. 2nd branchial cleft anomaly
3. 1st branchial pouch anomaly
4. 2ndbranchial pouch anomaly

Correct answer: 1. 1st branchial cleft anomaly

Explanation: Collaural fistula: This is an abnormality of the branchial cleft. The fistula has two openings: one situated in the neck just below and behind the angle of mandible and the other in the external canal or the middle ear. The track of the fistula traverses through the parotid in close relation to the facial nerve.